The least radiosensitive tissue is:
1. Nervous tissue
2. Bone
3. Kidney
4. Thyroid

Correct answer: 1. Nervous tissue

Explanation: Ans. Nervous tissue